A woman was involved in an accident in which her left leg was crushed and immediate amputation had to be done but you couldn't get a prior consent as the victim was unconscious and the relatives were not available. Later her husband sues you you for doing an amputation without a valid consent. Which of the following sections will provide you protection in this scenario?
1. Section 92 IPC
2. Section 52 IPC
3. Section 88 IPC
4. Section 90 IPC

Correct answer: 1. Section 92 IPC

Explanation: Any harm caused to a person in good faith, even without consent is not an offence if the circumstances are such that it is impossible for the person to signify consent and has no guardian from whom it is possible to obtain a consent in time for the thing to be done in benefit as per section 92 IPC. Also know: As per section 90 IPC the consent given by an intoxicated/insane person is invalid. Ref: Textbook of Forensic Medicine and Toxicology by Narayan Reddy, Edition 21, Page - 42, 43